Which emphysema is associated with Alpha- 1 antitrypsin deficiency:
1. Panacinar emphysema
2. Paraseptal emphysema
3. Centriacinar emphysema
4. Irregular emphysema

Correct answer: 1. Panacinar emphysema

Explanation: Emphysema can be classified based on pattern of enlargement of air spaces as: Panacinar Associated with a1AT deficiency Diffuse loss of parenchymal tissue mainly in lower lobes In this, air spaces are abnormally large within and across the acinar unit Centriacinar Most commonly associated with cigarette smoking Enlarged air spaces in association with respiratory bronchioles involves upper lobes more frequently and superior part of lower lobes. Alpha 1 antitrypsin : Anti elastase proteincoded by gene PiMM gene. Any mutation in this gene lead to abnormal formation of alpha 1 antitrypsin protein which leads to Pan acinar emphysema in basal part of lung.